Healing of the extraction socket in which flaps are approximated:
1. Healing by primary intention
2. Healing by secondary intention.
3. Healing by tertiary intention
4. Any of the above.

Correct answer: 1. Healing by primary intention

Explanation: Healing of socket in which the flaps are approximated following removal of tooth occurs by primary intention.